Epispadias in relation to hypospadias -
1. Is more common
2. Less common
3. Occures with the same frequency
4. Is difficult to treat

Correct answer: 2. Less common